Commonest position of appendix?
1. Subhepatic
2. Pelvic
3. Pre-ileal
4. Retrocaecal

Correct answer: 4. Retrocaecal

Explanation: Ans. d (Retrocaecal) (Ref. Bailey and Love surgery 25th/pg. Fig. 67.1; pg. 1204)Vermiform appendix is a muscular, tubular structure arising from caecum.Its various positions include:# Retrocaecal74%# Pelvic21%# Paraceacal2%# Sub-caecal1.5%# Preileal1%# Postileal0.5%Note: the appendicular artery is branch of lower division of Iliocolic artery.